Which of the following antiretroviral drugs is a non-nucleoside reverse transcriptase inhibitor -
1. Zidovudine
2. Efavirenz
3. Saquinavir
4. Stavudine

Correct answer: 2. Efavirenz